Most cost-effective method of infection control is:
1. Repeated disinfectant use
2. Alcohol based rubbing
3. Prophylactic antibiotic therapy
4. Hand washing

Correct answer: 4. Hand washing

Explanation: Ans. d. Handwashing (Ref: Park 22/e p323)In developing countries, handwashing with soap is recognized as a cost-effective, essential tool for achieving good health, and even eood nutrition.HandwashingHandwashing is like a 'do-it-yourself vaccine--it involves five simple and effective steps (Wet. Lather, Scrub, Rinse. Dry) you can take to reduce the spread of diarrheal and respiratory illness so you can stay healthy.Medical handwashing is for a minimum of 15 seconds, using generous amounts of soap and water or gel to lather and rub each part of the hands.Hands should be rubbed together with digits interlocking.Since germs may remain in the water on the hands, it is important to rinse well and wipe dry with a clean towel.After drying, the paper towel should be used to turn off the water (and open any exit door if necessary). This avoids recontaminating the hands from those surfaces.The purpose of handwashing in the health care setting is to remove pathogenic microorganisms ('germs') & avoid transmitting them.The World Health Organization has 'Five Moments' for washing hands:* Before patient care * Before an aseptic task* After environmental contact* After patient care* After exposure to blood-body fluids The addition of antiseptic chemicals to soap confers killing action to a hand washing agent. Such killing action may be desired prior to performing surgery or in settings in which antibiotic-resistant organisms are highly prevalent.To "scrub' one's hands for a surgical operation, it is necessary to have a tap that can be turned on and off without touching it with the hands, some chlorhexidine or iodine wash, sterile towels for drying the hands after washing, and a sterile brush for scrubbing and another sterile instrument for cleaning under the fingernails.All jewelry should be removed. This procedure requires washing the hands and forearms up to the elbow, usually 2-6 minutes. Long scrub-times (10 minutes) are not necessary.When rinsing, water on the forearms must be prevented from running back to the hands.Washing with plain soap results in more than triple the rate of bacterial infectious disease transmitted to food as compared to washing with antibacterial soap.Comparing hand-rubbing with alcohol-based solution with hand washing with antibacterial soap for a median time of 30 seconds each showed that the alcohol hand-rubbing reduced bacterial contamination 26% more than the antibacterial soap.But soap and water is more effective than alcohol-based hand rubs for reducing HIN1 influenza A virus & Clostridium difficile spores from hands.Effectiveness:Interventions that promote handwashing can reduce diarrhea episodes by about a third, and this is comparable to providing clean water in low-income areas.